All are true about Candida except -
1. Pseudohyphae seen
2. Produce chlamydospore
3. It is a mould
4. It is a non-thermally dimorphic fungi

Correct answer: 3. It is a mould

Explanation: Ans. is 'c' i.e., It is a mold [Ref: Harrison 18th/ep. 1651, 1652 &17th/ep. 1254; Candida o Candida is a yeast like a fungus (not mold). o Candida albicans is the most common cause of mucosal candidiasis. o All Candida species pathogenic for humans are also encountered as commensals of humans, particularly in the mouth, stool, and vagina. o Candida albicans is differentiated by other Candida: It forms true hyphae (mycelia) or germ tubes when grown in serum. It forms thick walled large spores called chlamydospores when grown in com meal agar. It is dimorphic. Remember - Candida albicans can produce yeast, true hyphae, and pseudohyphae. o A rapid method of identifying C. albicans is based on its ability to form germ tubes within two hours when incubated in human serum at 37degC - Reynolds - Braude phenomenon (Also known as germ tube test)